Commonest symptom of pheochromocytoma is
1. Palpitation
2. Headache
3. Sweating
4. Dyspnoea

Correct answer: 2. Headache

Explanation: Ans. is 'b' i.e., Headache Hypertension is the most common symptom of pheochromocytoma followed by headache > Sweating > Palpitation.